Drug of choice for intermediate uveitis is
1. Atopine
2. Antibiotics
3. Topical steroids
4. Systemic steroids

Correct answer: 4. Systemic steroids

Explanation: Treatment includes: 1. Corticosteroids administered systemically and as repeated periocular injections may be effective in some cases. 2. Immunosuppressive drugs may be helpful in steroid-resistant cases. 3. Peripheral cryotherapy is also reported to be effective. with most forms of uveitis, corticosteroids are the mainstay of therapy. Topical therapy with prednisolone acetate 1% or prednisolone sodium phosphate 1% is only helpful in the treatment of the anterior segment inflammation. Ref: Khurana; 4th edition; Pg.No.161